Germ cell tumor(s) of paediatric includes all except?
1. Pure yolk sac tumor
2. Leydig cell tumor
3. Choriocarcinoma
4. Embryonal cell carcinoma

Correct answer: 2. Leydig cell tumor

Explanation: Ans. is 'b' i.e., Leydig cell tumor Germ cell tumors o Germ cell tumors, as the name suggests, arise from Primordial germ cells (Precursor germ cells or gametocytes), o Germ cells develops early in life. In growing fetus, germ cells migrate from their point of origin to the gondal area. o Germ cells that still have to reach the gonads are called primordial germ cells. o After reaching to gonads these become mature germ cells and the end products of germ cell cycle are the egg or sperm. o Germ cell tumors arise from primordial germ cells. o Therefore germ cells tumor may be : Gonadal (In testis or ovary) ii) Extragonadal : - When primordial germ cells fail to reach the right location and divide at the site of arrest. Extra-gonadal germ cell tumors may occur at mediastinum (most common site), retroperitonium (2nd most common site), brain, pineal gland, sacrococcygeal region. o Germ cell tumor are : Seminoma/dysgerminoma Embryonal carcinoma Yolk/sac (endodermal sinus) tumor Choriocarcinoma Teratoma Non-germ cell gonadal tumors o These tumors occur in adults. These may occur very rarely in children and occur predominantly in ovary. Tumors are : - i) Surface epithelial tumors : - Serous tumor, mucinous tumor, Brenner tumor etc. ii) Sex cord stromal tumors : - Granulosa-theca cell tumor, Sertoli-Leydig cell tumor.